Bisphosphonates act by:
1. Increasing the osteoid formation
2. Increasing the mineralization of osteoid
3. Decreasing the osteoclast mediated resorption of bone
4. Decreasing the parathyroid hormone secretion

Correct answer: 3. Decreasing the osteoclast mediated resorption of bone